Mysthenia gravis is which type of hypersens-itivity
1. Type I
2. Type II
3. Type III
4. Type IV

Correct answer: 2. Type II

Explanation: Ans. is 'b' i.e., Type II Myasthenia gravis is antibody mediated (type 11) hypersensitivity